True regarding Staphylococcal food poisoning is -
1. Caused by eating of dairy producrs
2. Caused by endotoxins
3. Caused by fishes
4. Associated with abnormal movements

Correct answer: 1. Caused by eating of dairy producrs

Explanation: Cows suffering from mastitis have been responsible for outbreak of staphylococcal food poisoning involving milk and milk products. The foods involved are salads, custards, milk and milk products which get contaminated by staphylococci. The illness becomes manifest by the sudden onset of vomiting, abdominal cramps and diarrhoea. PARK'S TEXTBOOK OF PREVENTIVE AND SOCIAL MEDICINE 23rd edition, page 238